Which among the following is a Transcription inhibitor?
1. Chloramphenicol
2. Streptomycin
3. Puromycin
4. Amanitin

Correct answer: 4. Amanitin

Explanation: The inhibitors of transcription and its action is very important in the entrance exams. Rifampicin: bind beta subunit of polymerase Actinomycin D: inhibit elongation of RNA strands by inhibiting RNA polymerase Streptoglydin Heparin Alpha-Amanitin blocks the translocation of RNA polymerase during transcription Ref: Harper, 27th Edition, Page 351